Peritoneal mice come from
1. Rectus sheath
2. Meseutry
3. Appendix epiploica
4. None of the above

Correct answer: 3. Appendix epiploica

Explanation: Peritoneal mice :

It is also know as peritoneal loose bodies.
They come from appendix epiploica that has undergone axial rotation followed by necrosis of it pedicle.